Skull at birth contains:
1. 22 bones
2. 34 bones
3. 45 bones
4. 54 bones

Correct answer: 3. 45 bones